Umbilical cord separation takes
1. First 1 week
2. First 2 weeks
3. First 3 weeks
4. First 4 weeks

Correct answer: 2. First 2 weeks

Explanation: Umbilical cord separation usually takes place within first 2 weeks.